A 33 year old person is hit by a car has been said to develop extradural haematoma. Most likely vessel to bleed is:
1. Ophthalmic artery
2. Sub dural veins
3. Occipital artery
4. Middle meningeal artery

Correct answer: 4. Middle meningeal artery

Explanation: Middle meningeal artery